2-month-old girl present with verrucous plaque on the trunk. What is your most probable diagnosis?
1. Incontinentia pigmentosa
2. Daer disease
3. Congenital naevus
4. Icthyosis

Correct answer: 1. Incontinentia pigmentosa

Explanation: A i.e. Incontinentia pigmenti